The most common neurological disorder seen in CRF patients
1. Dementia
2. Peripheral neuropathy
3. Bakes intestinal dilator.
4. Restless leg syndrome

Correct answer: 2. Peripheral neuropathy

Explanation: Ans. is 'b' i.e., Peripheral neuropathy